Most common cardiovascular abnormality in Down syndrome
1. Endocardial cushion defects
2. VSD
3. PDA
4. Pulmonary hypertension

Correct answer: 1. Endocardial cushion defects

Explanation: Endocardial cushion defects - 43%
VSD - 32%